Site of glycolysis -
1. Cytoplasm
2. Mitochondria
3. Nucleus
4. Endoplasmic reticulum

Correct answer: 1. Cytoplasm

Explanation: Ans. is 'a' i.e., CytoplasmSiteCycle/ReactionsCytosolGlycolysis (EMP Cycle), HMP shunt, fatty acid synthesis, glycogenesis, glycogenolysis, Bile acid/Salt synthesis, cholesterol synthesisMitochondriaKreb's cycle (citric acid cycle), Electron transport chain (ECT), Fatty acid oxidation, KetogenesisBoth cytosol and mitochondriaGluconeogenesis, Urea cyclePeroxisomesOxidation of very long chain fatty acidsSmooth endoplasmic reticulumTriglyceride synthesis, Steroid synthesis, cholesterol synthesis, phospholipid synthesisRough endoplasmic reticulum (ribosomes)Protein synthesisNucleusDNA and RNA synthesis